The following feature is common to both cytotoxic T cells and NK cells?
1. Synthesizes antibodies
2. Require antibodies to be present for action
3. Effective against virus infected cells
4. Recognize antigen in association with HLA class II markers

Correct answer: 3. Effective against virus infected cells

Explanation: Common to both cytotoxic T cells and NK cells is affectivity against virus-infected cellsNK cells:1st line of defense against virus-laden cells and neoplastic cellsCytotoxicity is not MHC restricted Cytotoxic T cells:They are antigen-specific T cells whose function is to produce antigen-specific lysis of target cells by the direct cell to cell contactAre usually CD+ class I MHC restricted T cellsAre important in defense against virus infections of tissues (Ref: Harrison's 18/e p2688,2669)